All of the following are seen in RASopathies except:-
1. Hair abnormalities
2. Craniofacial abnormalities
3. Keratosis pilaris
4. Desquamation of skin

Correct answer: 4. Desquamation of skin

Explanation: RAS opathies:- Group of medical genetic syndrome caused by germ line mutation in genes that encode components or regulator of RAS or MAP kinase pathway: Clinical features:- Distinct Facial features Developmental delays Cardiac defect Growth delays Neurological issues GI difficulties Examples Noonan Syndrome Neurofibromatosis Type I Costello syndrome Cardia- facio cutaneous syndrome. Legius syndrome =Skin desquamation is not seen in RAS Opathies.